Referred pain in external haemorrhoids is due to -
1. Common pudendal nerve
2. Inferior rectal nerve
3. Splanchnic nerve
4. Sympathetic nerve

Correct answer: 2. Inferior rectal nerve

Explanation: Pain sensation below the pectinate line is carried by inferior rectal nerve, a branch of pudendal nerve.